A boy attempts suicide. The boy dies due to the complications in the hospital. Doctor should:
1. Inform police
2. Not required as it is a case of suicide
3. Report to magistrate
4. Handover the body to the legal guardian

Correct answer: 1. Inform police

Explanation: In case of suicide, there is no need to inform the police if the person is alive. If the person dies due to complications, we should inform the police.